Most common gram-negative organism in cystic fibrosis is
1. Pseudomonas
2. Escherichia coli
3. Klebsiella
4. Legionella

Correct answer: 1. Pseudomonas

Explanation: It occurs in patients with underlying conditions such as cystic fibrosis specially in the Caucasian population